Eruption of Maxillary Central incisor occur at
1. 7-8 years
2. 10-11 years
3. 19-20 years
4. 15-16 years

Correct answer: 1. 7-8 years